A child after consuming food in a party complains of vomiting and diarrhoea within 1-5 hours. The diagnosis is
1. Staphylococcus aureus
2. Streptococcus
3. Clostridium Perfringens
4. Clostridium Botulinum

Correct answer: 1. Staphylococcus aureus

Explanation: Ans. is 'a' Staphyloncus Aureus Bacterial food poisoning1-6 hour8-16 hour>16 hourStaph Aureus * Bacillus cereus *Clostridium perfringens* Bacillus cereus*Vibrio choleraeE.TECEHECSalmonellaShigellaCL botulinum